Partial mole is
1. Haploid
2. Diploid
3. Triploid
4. Polypoid

Correct answer: 3. Triploid

Explanation: Partial mole : Karyotype is triploid either 69XXY or 69XYY One maternal and usually two paternal haploid chromosomes Ref: Dutta Obs 9e pg 186.